"Secular trends' relates with
1. Age
2. Religion
3. Time
4. Place

Correct answer: 3. Time

Explanation: (C) Time > The term secular trends implies changes in the occurrence of disease i.e. a progressive increase or decrease over a long period of time generally several years or decades> Cyclic trends : refer to diseases occurring in cycles spread over short period of time which may be days, weeks, months or years> Seasonal tread: refers to diseases due to seasonal variation